Z score measures the bone mineral density compared to:
1. Age, race and sex matched individuals
2. Race and sex matched individuals
3. Sex matched individuals
4. None of the above

Correct answer: 1. Age, race and sex matched individuals

Explanation: Z Score * Z score compares the patients BMD with that of adult of the same race, age and sex. Z Score indicates possible secondary osteoporosis. A Z Score of - 2 or below should trigger investigation for underlying disease.